All are true about Aspirin-sensitive asthma except?
1. Nasal polyposis
2. Treatment with inhaled corticosteroids
3. Rhinosinusitis
4. Increased prostaglandins

Correct answer: 4. Increased prostaglandins

Explanation: Aspirin sensitive asthma is associated with severe rhinosinusitis and recurrent nasal polyposis. Pathogenesis- chronic eosinophilic inflammatory changes, with increased mast cell activation. It is associated with more severe asthma, requires increased use of inhaled and oral corticosteroids, more presentations to hospital and a risk of life-threatening reactions with aspirin. The cyclo-oxygenase pathways play a major role in the respiratory reactions that develop after aspirin ingestion.